Which is false regarding cryptococcus neoformans?
1. Grows at 5degC and 37degC
2. It has 4 serotypes
3. Urease negative
4. Causes superficial skin infection

Correct answer: 3. Urease negative

Explanation: Ans. is 'c' i e., Urease negative Cryptococcus neoformans is distinguished from other non-pathogenic crvptococci by ? - Ability to grow at 37degC Lack of fermentative ability - Ability to hydrolyze urease (urease positive) - Formation of brown pigment on niger seed agar - Ability to assimilate inositol Ability to produce phenole oxidase.